In Revised National Tuberculosis Control programme the silent features are to achieve ?
1. Cure rate 85% & diagnosis 85%
2. Cure rate 85% & diagnosis rate 70%
3. Cure rate 80% & diagnosis 85%
4. Cure rate 80% & diagnosis rate 80%

Correct answer: 2. Cure rate 85% & diagnosis rate 70%

Explanation: Ans. is 'b' i.e., Cure rate 85% & diagnosis rate 70% Revised National Tuberculosis Control Programme The Government of India, WHO and World Bank together reviewed the NTP in the year 1992. Based on the findings a revised strategy for NTP was evolved. The salient features of this strategy are : - Achievement of at least 85 percent cure rate of infectious cases through supervised Short Course Chemotherapy involving peripheral health functionaries. Augmentation of case finding activities through quality sputum microscopy to detect at least 70 percent estimated cases; and Involvement of NG0s; Information, Education and communication and improved operational research. For a "TB - free India" following objectives have been proposed : To achieve 90% notification rate To achieve 90% success rate for all new cases and 85% for retreatment cases To significantly improve the successful outcomes of treatment of drug resistant TB cases To decrease morbidity and mortality of HIV associated TB To improve outcomes of TB care in the private sector